A 55-years-old female presents with tinnitus, dizziness and h/o progressive deafness. Differential diagnosis includes all except:
1. Acoustic neuroma
2. Endolymphatic hydrops
3. Meningioma
4. Histiocytosis -X

Correct answer: 4. Histiocytosis -X

Explanation: Acoustic neuroma and endolymphatic hydrops (Meniere's disease) can lead to SNHL and tinnitus (Dhingra 5/e p. 38). Meningioma can cause deafness, and tinnitus as a part of Neurofibromatosis type 2 syndrome (Harrison 17th/ed p 2603) and its peak incidence occurs in middle age.